Protein biosynthesis occurs in ?
1. Cytoplasm
2. ER
3. Ribosomes
4. Mitochondria

Correct answer: 3. Ribosomes

Explanation: Although both ribosomes & RER are involved in synthesis of protein, the cellular component on which all intractions take place to synthesize the protein is ribosome.